Which of the following drugs is mosst likely to cause loss of equilibrium and auditory damage?
1. Amikacin
2. Ethambutol
3. Isoniazid
4. Rifabutin

Correct answer: 1. Amikacin

Explanation: (Ref: KDT 6/e p721) Aminoglycosides can cause nephrotoxicity, ototoxicity and neuromuscular block.